Eosin - 5 - malate binding is for
1. Hereditary spherocytosis
2. Paroxysmal nocturnal hemoglobinuria
3. Non - Hodgkin Lymphoma
4. Thalassemia

Correct answer: 1. Hereditary spherocytosis

Explanation: EMA test is positive for hereditary spherocytosis and hereditary elliptocytosis.